Which of the following is/are arboviral diseases -a) Japanese encephalitisb) Denguec) Yellow feverd) Hand-foot-mouth diseasee) Rocky montain spotted fever
1. ab
2. abc
3. acd
4. bcd

Correct answer: 2. abc